ESR is raised in -a) Sickle cell anaemiab) Multiple myelomac) Acute myocardial Infarctiond) Angina pectoris
1. bc
2. c
3. ac
4. ad

Correct answer: 1. bc